True about gas gangrene:
1. Underlying skin and muscle are normal
2. Caused by tetanospasmin toxin
3. Muscle rigidity and spasm are characteristic
4. Most common organism implicated is Cl. Perfringes

Correct answer: 4. Most common organism implicated is Cl. Perfringes

Explanation: Ans. (d) Most common organism implicated is Cl. Perfringes Gas gangrene Rapidly spreading, edematous myonecrosis occurring characterstically in association with wound contamination. Clostridium perfringens is the most common organism associated, C. septicum and C. tertium are aerotolerant cause of gas gangrene The major C. perfringenes toxin implicated in gas gangrene are a toxin and 0 toxin In case of C. septicum four toxins have been implicated: - a toxin (lethal, hemolytic, necrotizing activity), 13 toxin (DNase) y toxin (hyaluronidase) and A toxin (septicolysin) Radical surgical debridement along with antibiotic therapy is treatment of choice Penicillin plus clindamycin is the preferred antibiotic. If C. tertium is suspected, vancomycin should be used Hyperbaric oxygen may be considered after surgery Passive immunization with anti gas gangrene serum has not yield any beneficial result and is now not recomended